Which of the following is true regarding Metronidazole in amoebiasis?
1. Intestinal and extra-intestinal trophozoite killer
2. Intestinal cyst killer
3. Extraintestinal cyst killer
4. Intestinal trophozoite killer

Correct answer: 1. Intestinal and extra-intestinal trophozoite killer

Explanation: Nitroimidazoles are intestinal and extraintestinal tissue amoebicides killing only trophozoites.Ref: Tripati 5th ed: Pg:750